WHO considerations regarding Dracunculosis eradication, all are true except
1. DDT
2. Drinking piped water and installation of hand pumps
3. Health education and awareness of public
4. Control of Cyclops

Correct answer: 1. DDT